What is the role of membrane protein clathrin?
1. Cell motility
2. Cell shape
3. Exocytosis
4. Receptor-mediated endocytosis

Correct answer: 4. Receptor-mediated endocytosis

Explanation: The membraneprotein, clathrin is involved in receptor mediated endocytosis. It occurs at membrane indentations where the protein clathrin accumulates. Clathrin molecules have the shape of triskelions, with three legs radiating from a central hub. As endocytosis progresses, the clathrin molecules form a geometric array that surrounds the endocytotic vesicle. Once the complete vesicle is formed, the clathrin falls off and the three-legged proteins recycle to form another vesicle. Ref: Ganong's Review of Medical Physiology, 23rd Edition, Chapter 2